Dennis stability concept is based on which of the following
1. 2 columns
2. 3 columns
3. 4 columns
4. 5 columns

Correct answer: 2. 3 columns

Explanation: Ans. b. 3 columns